Ductus dependent blood flow is required for all of the following congenital heart disease except:-
1. Hypoplastic left heart syndrome
2. Pulmonary stenosis
3. TGA with intact ventricular septum
4. Persistent truncus arteriosus

Correct answer: 4. Persistent truncus arteriosus

Explanation: DUCTUS DEPENDENT CONDITIONS : --> Conditions which depend on a patent ductus arteriosus (PDA) to supply pulmonary or systemic blood flow. Systemic circulation Pulmonary circulation - Critical Aortic Stenosis - Severe coarctation of aorta - Interrupted aortic arch - Hypoplastic Left Heart Syndrome -Severe Pulmonary Stenosis - Severe TOF - Pulmonary atresia - Tricuspid atresia - Ebstein anomaly DUCTUS INDEPENDENT CONDITIONS: - Truncus arteriosus - TAPVC - ALCAPA